CD marker for cytotoxic-
1. CD 4
2. CD 8
3. CD 21
4. CD 45

Correct answer: 2. CD 8

Explanation: harshmohan textbook of pathology 7th edition. *T suppressor cells ,they suppresses immune reaction but are cytotoxic and actually destroy the invading antigen.these cells (cytotoxic T lymphocytes) carry CD8 molecules on their surface and hence are also called CD8+ cells.